Increased FSH level in azoospermic male indicates :
1. Testicular atrophy
2. Hypothalamic failure
3. Cryptorchidism
4. Hypospadias

Correct answer: 1. Testicular atrophy

Explanation: Testicular atrophy